Okazaki fragments are formed during -
1. Transcription
2. Translation
3. DNA replication
4. None

Correct answer: 3. DNA replication

Explanation: Ans. is 'c' i.e., DNA replication o DNA polymerases responsible for copying the DNA templates are only able to "read" the parental nucleotide sequence in 31 - 51 direction, and they synthesize the new DNA strands only in 51 - 31direction.o Therefore, 2 newly synthesized chains must grow in opposite directionsThe DNA chain which runs in the 31-51 direction towards replication fork as continued strand is called leading strand. This requires only one RNA primerThe DNA chain which runs in the 51-31 direction away from replication fork is called lagging strand. It is synthesized discontinously and requires numerous RNA primers. As the replication fork moves, RNA primers are synthesized at specific intervals. These RNA primers are extended by DNA polymerase III into short pieces of DNA called Okazaki fragments.